Surgical complication of typhoid include all except
1. Transverse intestinal ulcer
2. Intestinal perforation
3. Paralytic ileus
4. Intestinal hemorrhagic

Correct answer: 1. Transverse intestinal ulcer

Explanation: Intestinal salmonellosis produces longitudinal ulcers whereas TB produce transverse ulcers Complications are Paralytic ileus Intestinal hemorrhage Perforation Cholecystitis Ref: Bailey and love 27th edition Pg no : 1248